Most common cause of hemolytic uremic syndrome is -
1. E.coli
2. Shigella
3. Salmonella
4. Psedononas

Correct answer: 1. E.coli

Explanation: Ans. is 'a' i.e., E.coli Etiology of HUS HUS usually follows an episode of acute gastroenteritis. o Less commonly, patient may present after an upper respiratory tract infection. o The organisms responsible are - E.coli (most common) EHEC (shiga toxin producing) Salmonella Shigella dysenteriae Streptococcus pneumoniae Bartonella Campylobacter Viruses (Coxsackie virus, echovirus, influenza, varicella, HIV, EBV).